Osler's nodes are seen at
1. Heart
2. Knee joint
3. Tip of palm and sole
4. Anterior abdominal wall

Correct answer: 3. Tip of palm and sole

Explanation: Ref Harrison 19 th ed pg 1443 Osler's nodes are painful tender nodules in the pulp of fingers and soles,seen in patient of infective endocarditis.